Diethylstilbesterol causes the following defects except:
1. Renal anomalies
2. Perifimbrial cysts
3. T shaped uterus
4. Vaginal adenosis

Correct answer: 1. Renal anomalies

Explanation: Diethylstilbesterol exposure in utero leads to varied anomalies of female genital tract.
But remember simply:
“Unlike all other congenital uterine malformations, the DES uterus is not associated with an increase in renal anomalies.”
Even if you don’t remember all the anomalies caused by DES, just remember the above line and your MCQ will be solved.
For anomalies caused by DES-see the proceeding text.